All actions of chlorpromazine are based on its antidopaminergic property EXCEPT:
1. Antipsychotic
2. Hyperprolactinemic
3. Antiemetic
4. Hypotensive

Correct answer: 4. Hypotensive

Explanation: (Ref: KDT 6/e p430, 431) Chlorpromazine is a typical antipsychotic (D2 blocker) with anti-cholinergic and tit-blocking properties. D2 blockade is also responsible for extrapyramidal symptoms and hyperprolactinemia (dopamine acts like prolactin release inhibitory hormone). Antiemetic effect of chlorprornazine is due to blockade of D2 recetors in CTZ. Anticholinergic effects manifest as dry mouth, blurring of vision and urinary retention. Hypotension and impaired ejaculation may be seen due to a-blocking activity of chlorpromazine.